All of the following is true about neuromuscular monitoring is all except:
1. Ulnar nerve is the most commonly used nerve for the monitoring
2. Double burst stimulation is most commonly used technique for monitoring
3. TOF ratio is best to predict recovery from muscle relaxant
4. TOF can differentiate depolarizers from non depolarizers

Correct answer: 2. Double burst stimulation is most commonly used technique for monitoring

Explanation: Neuromuscular blockade is measured using a peripheral nerve stimulator. Nerve Response Ulnar nerve Contraction of adductor pollicis most common stimulus used is Train of four